Which of the following has highest pH?
1. Saliva
2. Gastric juice
3. Pancreatic juice
4. Bile

Correct answer: 3. Pancreatic juice

Explanation: Pancreatic juice has the highest pH because it is basic Ref: guyton and hall textbook of medical physiology 12 edition page number:414,415,416